Steroids are contraindicated in
1. Phlyctenular conjunctivitis
2. Granular conjunctivitis
3. Mooren's ulcer
4. Dendritic ulcer

Correct answer: 4. Dendritic ulcer

Explanation: D i.e. Dendritic ulcer Since fungal corneal ulcer is not an option here, so, the obvious answer is dendritic ulcer.